Which of the following is used in the treatment of Multiple Sclerosis:
1. Interferon Alpha
2. Interferon Beta
3. Infliximab
4. Interferon gamma

Correct answer: 2. Interferon Beta

Explanation: Answer is B (Interferon Beta) : Interferon Beta should be considered in patients with Relapsing / Remitting MS (RRMS) and Secondary Progressive MS (SPMS) with superimposed relapses. Interferon Beta reduces the attack rate in M.S. patients and also improves disease severity measures and disease burden. Interferons Interferons are cytokines that exhibit antiviral activities, immunomodulating properties and antiproliferative properties. DNA recombinant technology has made available highly purified a, (3 and y interferons. IFNs are not available for oral administration but must be given intramuscularly, subcutaneously or intravenously. Interferon Alpha (IFN a) Interferon Beta HEN(i) Interferon (IFN y) Considered for : Considered for : Considered for : * Hepatitis B, Hepatitis C Multiple Sclerosis * Osteopetrosis , (H / 2282) * Mucocutaneous manifestations of (suggested benefit ) Behcet's syndrome (H / 2014) 3 Approved Agents * Systemic sclerosis ((H/1987) * Carcinoid syndrome (H / 2226) * Aronex (IFN 3la) (modest improvement but recurrence) * Chronic myeloid leukaemia (CML) (H * Rebif (IFN (3 I a) * Idiopathic pulmonary fibrosis / 640) Betaseron (IFN (31b) (therapeutic trial) H/ 1556 * Follicular lymphoma (H / 651) * Malignant melanoma Chronic granulomatous disease leprosy, non tuberculosis mycobacteria & visceral (Adjuvant) (H / 502) leishmaniosis (H/357) * Essential thrombocytosis * Multiple myeloma (H / 660) * Renal cell carcinoma (H / 542) * Splenornegaly (H / 628) Also Note : Interferon is not curative for any tumor but can induce partial responses in (Harrison 16th / 482) Follicular lymphoma Hairy cell leukaemia CML Melanoma Kaposi's sarcoma IFN y has been successfully used in the treatment of Leprosy, Nontuberculous Mycobacteria and Visceral Leishmaniosis. - Harrison I6th / 357